The qualitative data can be presented by :
1. Bar diagram
2. Histogram
3. Line diagram
4. Scattered Diagram

Correct answer: 1. Bar diagram

Explanation: For Quantitative data:

Histogram —variables on X-axis is called "abscissa” and frequency marked on Y-axis is called  "ordinate".
Frequency polygon — indicated when sets of data to be elicited on same diagram.

Bell/normal curve is the most common type of frequency polygon. It resembles a smooth curve.

Line diagram.
Scatter/Dot/correlation diagram — shows the nature of correlation between 2 variables. If the dots cluster around a straight line, it shows a linear relationship.